A patient with history of increased lethargy and significant loss of weight found to have elevated carcinoembryonic antigens (CEA) in laboratory examination. He may have all of the following conditions, EXCEPT:
1. Lung cancer
2. Breast cancer
3. Colon cancer
4. Osteogenic sarcoma

Correct answer: 4. Osteogenic sarcoma

Explanation: Carcinoembryonic antigen (CEA) is a glycoprotein found in the embryonic endodermal epithelium. Elevated CEA levels have been detected in patients with primary colorectal cancer as well as in patients with breast, lung, ovarian, prostate, liver, and pancreatic cancer. Levels of CEA also may be elevated in benign conditions such as diverticulitis, peptic ulcer disease, bronchitis, liver abscess, and alcoholic cirrhosis, especially in smokers and in elderly persons. Ref: Meric-Bernstam F. (2010). Chapter 10. Oncology. In T.R. Billiar, D.L. Dunn (Eds), Schwartz's Principles of Surgery, 9e.